The follwing are opioid withdrawl symptoms except:
1. Insomnia
2. Piloerection
3. Rhinorrhea
4. Constipation

Correct answer: 4. Constipation

Explanation: D i.e. Constipation